Which of the following has a nonfunctional cusp?
1. Mandibular canine
2. Maxillary second premolar
3. Mandibular first premolar
4. None of the above

Correct answer: 3. Mandibular first premolar